All are true about Neisseria gonorrhoeae except
1. Gram positive cocci
2. Cause stricture of urethra
3. Involves seminal vesicles and spreads to epididymis
4. Drug of choice is ceftriaxone

Correct answer: 1. Gram positive cocci

Explanation: Gonococci is a gram-negative coccus. Chronic urethritis due to gonococci can lead to stricture formation. In men, the disease caused by gonococci starts as an acute urethritis with a mucopurulent discharge containing gonococci in large numbers. Infection extends along the urethra to prostrate, seminal vesicles and epididymis. Treatment involves ceftriaxone 125 mg single IM dose or ciprofloxacin 500 mg oral single dose. Reference: Textbook of Microbiology; Anathanarayan and panicker's; 10th edition; Page no: 230